Kyanasur forest disease is transmitted by -
1. Haema physalis spinigera
2. Culex vishnui
3. Aedes
4. Anopheles

Correct answer: 1. Haema physalis spinigera

Explanation: - Japanese encephalitis is transmitted by culux mosquitoes. - the common species found in India is culux tritaeniorhynchus and culux vishnui. Reference : Park's textbook of preventive and social medicine, 23rd edition pg no:285